Thyroglosal cyst may occasionally give rise to carcinoma -
1. Papillary
2. Medullary
3. Anaplastic
4. Follicular

Correct answer: 1. Papillary